Host related biological properties of a disease agent are the following except
1. Virulence
2. Infectivity
3. Pathogenicity
4. Communicablity

Correct answer: 4. Communicablity

Explanation: Host related biological properties of disease agent are Infectivity Pathogenicity Virulence Ref : parks textbook of PSM 24th edition page no : 41